The first stated and the largest principle of the Nuremberg Code is
1. Autonomy
2. Informed consent
3. Justice
4. Confidential

Correct answer: 2. Informed consent